Which of the following gas is most commonly used in laproscopy?
1. CO2
2. N2O
3. O2
4. Helium

Correct answer: 1. CO2

Explanation: CO2 is used in laproscopy because it is common to the human body and can be absorbed by tissue and removed by the respiratory system. It is also non-flammable, which is important because electrosurgical devices are commonly used in laparoscopic procedures.